A patient has prosthetic valve replacement and he develops endocarditis 8 months later. Organism responsible is -
1. Staph. aureus
2. Strept. viridans
3. Staph. epidermidis
4. HACEK

Correct answer: 3. Staph. epidermidis

Explanation: Most common cause of prosthetic valve endocarditis upto 12 months is coagulase-negative staphylococci (staph. epidermidis).